Bundle of Kent is associated with
1. Sick sinus syndrome
2. WPW syndrome
3. Long-Ganong-Levine syndrome
4. Stokes-Adams syndrome

Correct answer: 2. WPW syndrome

Explanation: The bundle of Kent is an abnormal extra or accessory conduction pathway between the atria and ventricles that is present in a small percentage (between 0.1 and 0.3%) of the general population. This pathway may communicate between the left atrium and the left ventricle, in which case it is termed a "type A pre-excitation", or between the right atrium and the right ventricle, in which case it is termed a "type B pre-excitation".Problems arise when this pathway creates an electrical circuit that bypasses the AV node. The AV node is capable of slowing the rate of conduction of electrical impulses to the ventricles, whereas the bundle of Kent lacks this capability. When an aberrant electrical connection is made the bundle of Kent, tachydysrhythmias may therefore result. Ref Harrison 20th edition pg 1532